The following fatty acid does not belong to W6 series
1. Linoleic acid
2. Arachidonc acid
3. Gamma linolenic acid
4. Alpha linolenic acid

Correct answer: 4. Alpha linolenic acid

Explanation: D i.e. Alpha linolenic acidAlpha linolenic acid belongs to W3 seriesQ. Rest others belong to W6 series.Carbon atoms are numbered from the carboxyl carbon (carbon no. 1). The carbon atoms adjacent to carboxyl carbon are also called. a, 13, Y respectively. The terminal methyl carbon is K/as W or n- carbonW3 Family ,MILW6 FamilyW7 FamilyW9- Alpha linolenic Q- Gamma linolenicQPalmitoleic- 0 leicQ- Timnodonic- ArchidonicQ - Elaidic- Cervonic- LinolicQ - The first double bond introduced into a saturated fatty acid (to make it unsaturated) is nearly always in 49 position. The reaction is catalyzed by 49 desaturase in presence of 02, NADH and cytochrome b5.Since animals have 49 desaturase, they are able to synthesize W9 (oleic) family.- Linoleic (W6) or a - linolenic (W3) acids required for the synthesis of other members of W6 or W3 family must be supplied in diet.